A 34 year old man undergoes upper GI endoscopy, which reveals numerous gastric polyps . The urease breath test result is positive. The polyps most likely are
1. Inflammatory
2. Hamartomatous
3. Hyperplastic
4. Adenomatous polyp

Correct answer: 3. Hyperplastic

Explanation: Hyperplastic polyps are the mistcommon type of gastric polyps . They're associated with Helicobacter pylori infection and there's following eradication therapy Ref Bailey and love 27 e p1130